All the following are contraindications for Cu containing IUCD's except
1. Wilson's disease
2. Pregnancy
3. Undiagnosed genital bleeding
4. Ischemic heart disease

Correct answer: 4. Ischemic heart disease

Explanation: Medical eligibility criteria for initiation and continuation of intrauterine devicesWHO category 1No restriction of useSmokingObesityBreastfeedingIschemic heart diseaseSTrokeHypertensionPost Abortion first trimesterMigraine with or without auraDiabetesThyroid disordersLiver/gallbladder diseaseWHO category 2Advantages outweigh risksNulliparousPost Abortion second trimesterComplicated valvular heart diseaseSevere dysmenorrheaEndometriosisSTDs including HIVVaginitisThalassemiaSickle cell diseaseIron deficiency anemiaWHO category 3Risks outweigh the advantagesPostpartum 48 hours to 4 weeksBenign trophoblastic diseaseOvarian cancerWHO category 4Absolute contraindicationsImmediate post-septic abortionUnexplained vaginal bleedingDistorted uterusCurrent PIDPelvic tuberculosisReference: Novak's gynaecology; 14th edition; Chapter 10; Family planning